Which of these acyanotic congenital heart diseases is associated with volume overload?
1. Ventricular septal defect
2. Coarctation of aorta
3. Aortic stenosis
4. None of these

Correct answer: 1. Ventricular septal defect

Explanation: Ans. A. Ventricular septal defectsVentricular septal defects (VSD), atrial septal defects and patent ductus arteriosus are acyanotic congenital heart diseases associated with volume overload; aortic stenosis and coarctation of aorta are also acyanotic congenital heart diseases which present as obstructive lesions (pressure overload).